All of the following are sexually transmited, Except?
1. Candida albicans
2. Echinococcus granulosus
3. Molluscum contagiosum
4. Group B streptococcus

Correct answer: 2. Echinococcus granulosus

Explanation: Ans. is 'b' i.e., Echinococcus granulosus Important sexually transmitted agents 1. Bacteria . Chlamydia trachomatis . Calymmatobacterium granulomatis * Group B streptococci . Neisseria gonorrhoae . Ureoplasma urealyticum . Treponema pallidum . Mycoplasma homnis . Haemophilus ducreyi . Bacterial vaginosis - associated organisms 2. Viruses . HIV .HPV . CMV . HTLV 1 . HSV - 2 . HBV . Molluscum contagiosum 3. Protozoal agents . Entamoeba histolytica . Giardia . Trichomonas vaginalis 4. Fungal agents --> Candida albicans 5. Ectoparasites --> Phthirus pubis, Sarcoptes scabies Note - . Chlamydia is the most common cause of STD. . Amongst viruses, HPV is the most common cause.